All are true about Shigella except -
1. Large dose is required for infection
2. Associated with hemolytic uremic Syndrome
3. Causes bloody diarrhea with mucus
4. Gut pathology is due to toxin.

Correct answer: 1. Large dose is required for infection